Ophthalmic artery is a branch of which part of ICA
1. Cervical
2. Petrous
3. Cavernous
4. Cerebral

Correct answer: 4. Cerebral

Explanation: Cervical part of the artery does not give any branches Petrous part gives branches for the middle ear Cavernous part supplies hypophysis cerebri Cerebral part gives ophthalmic artery for orbit, anterior cerebral, middle cerebral. anterior choroidal and posterior communicating for the brain Ref BDC volume3,sixth edition pg 312